Antibiotic abuse can induce the deficiency of the following vitamin
1. Thiamine
2. Niacin
3. Vitamin K
4. Vitamin E

Correct answer: 3. Vitamin K

Explanation: Clinical deficiency of vitamin K has usually been associated with some defect in absorption from the gastrointestinal tract. Since the introduction of the broadspectrum antibiotics, it has become possible to greatly reduce the bacterial content of the intestine and, as a consequence, to decrease the amount of vitamin K produced, leading to hemorrhagic diathesis. Ref: Biochemistry by U. Satyanarayana 3rd edition Pgno : 129